Viability of ischemic myocardium is best diagnosed by?
1. MUGA scan
2. Thallium scan
3. PET scan
4. Coronary angiogram

Correct answer: 3. PET scan

Explanation: SPECT PET Tracers used Thallium-201 Technetium 99m 99Mtc Rubidium 82 13N ammonia Sensitivity 87% 90% Specificity 73% 89% Features Detects hibernating myocardium Ventricular function assessment gated SPECT Better attenuation and Assessment of myocardial metabolism and viability If PET is not among the given options then go for SPECT thallium scan MUGA scan: Multi-gated blood pool acquisition radionuclide angiography is used to assess LV function and volume. The FDA approved PET tracers are- 1. Rubidium-82 2. 13-N Ammonia 3. Fluoro-deoxy-glucose FDG-18 assesses myocardial glucose metabolism which is an indicator of viability. Coronary Angiography can tell about blockages but cannot differentiate scar tissue from hibernating myocardium.